The completeness of a 24-hour urine collection is best assessed by the simultaneous measurement of urinary
1. Volume
2. Urea
3. Creatinine
4. pH

Correct answer: 3. Creatinine

Explanation: Creatinine a nitrogenous compound formed as the end product of creatine metabolism. It is formed in the muscle in relatively small amounts, passes into the blood and is excreted in the urine. A laboratory test for the creatinine level in the blood may be used as a measurement of kidney function.Ref: Ganong's review of medical physiology; 24th edition; page no; 684